The commonest organism causing cellulitis is :
1. Streptococcus pyogenses.
2. Streptococcus faecalis.
3. Streptococcus viridans.
4. Microraerophilic streptococci.

Correct answer: 1. Streptococcus pyogenses.

Explanation: Ans. is 'a' Streptococcus pyogenes There is slight confusion on this one. Actually Harrison differs from all the other standard text books.In Harrison staph aureus is mentioned first while in all other books streptococcus pyogenes is mentioned first, but none of the books clearly states the most common organism causing cellulitisSee page No. 823 15th/e HarrisonPage No. 91 23rd/e BaileyPage No. 599 22nd/e Jawetz * A.P.I. medicine is a bit more clear and states that- "Cellulitis is caused mainly by hemolytic streptococci"So I am in favour of strepto pyogenes till I find any further reference.